Signs of uveitis –a) Generalized conjunctival congestionb) Circumciliary congestionc) Cells and flare in aqueousd) Shallow anterior chamber
1. a
2. c
3. ac
4. bc

Correct answer: 4. bc

Explanation: Signs of acute anterior uveitis 

Circumcorneal (ciliary) congestion.
Corneal edema, posterior corneal opacities.
Keratic precipitates (KPs), aqueous flare, aqueous cells, hypopyon, hyphemia.
Muddy iris, Narrow (miotic) pupil, festooned appearance (when dilated with mydriatic), sluggish pupillary reaction, ectropion pupillage, occlusion pupillage.